Pathological nipple discharge is mostly associated with?
1. Fibroadenoma
2. Duct papilloma
3. Adenocarcinoma
4. Lobular carcinoma

Correct answer: 2. Duct papilloma

Explanation: Ans. (b) Duct papillomaRef: Bailey & Love 24th ed p 828, Schwartz 9thed ch-17